Karyotyping under light microscopy is done by
1. R banding
2. Q banding
3. G banding
4. C banding

Correct answer: 3. G banding

Explanation: G-banding, G banding, or Giemsa banding is a technique used in cytogenetics to produce a visible karyotype by staining condensed chromosomes.It is useful for identifying genetic diseases through the photographic representation of the entire chromosome complement.